Keratic precipitates are most commonly seen in -
1. Corneal ulcers
2. Uveitis
3. Nuclear cataracts
4. Keratoconus

Correct answer: 2. Uveitis

Explanation: Ans. is 'b' i.e., Uveitis o Keratic precipitates (KPs) are proteinaceous cellular deposits occurring at the back of cornea (corneal endothelial deposits). Keratic precipitates are formed by the aggregation of polymorphonuclear cells, lymphocytes, and epitheloid cells. In the setting of uveitis, the bimicrosopic appearance of KP may yeild important diagnostic clues for the identification of the underlying inflammatory disorder1) Mutton fat KP Large, yellowish KPs, are characteristic of granulomatous uveitis .These are composed of epitheloid cells and macrophages. They are large, thick fluffy, lardaceous KPs, having a greasy or waxy appearance.2) Small or medium KPs (granular KPs):- These are composed of lymphocytes and are characteristic of nongranulomatous uveitis. These are small, round and whitish precipitates3) Red KPs:- Composed of RBCs and inflammatory cells. These are seen in hemorrhagic uveitis.4) Old KPs:- In healed uveitis. The above described KPs shrink, fade, become pigmented and irregular in shape with crenated margins.